Normal pH ot cervix vials :
1. 2
2. 3
3. 8
4. 11

Correct answer: 3. 8

Explanation: 8 The secretion of cervix are akaline and has a pH of 7.8. The glands of cervix are racemose in type and secrete mucus with a high content of fructose which renders it attractive to sperm.